Frei's intradermal test is done for:
1. Chlamydiae
2. LGV
3. Herpes simplex
4. Donovanosis

Correct answer: 2. LGV

Explanation: Ans: b (LGV) Ref: Ananthanarayanan, 7th ed, p. 428Frei's test was an intradermal test commonly used for LGVThe crude chlamydial antigen (from bubo pus)is inoculated intradermally in the forearm. An induration 7mm or more in 2-5 days is taken as positive test. Due to the frequentoccurance or false positive reactions, it is not used now.Other common tests frequently askedMantoux test (I/D)-TBCasoni'stest (I/D)-EcchinococcusIto test-ChancroidNapiers aldehyde test]- Leishmanin test-LeishmaniasisKviem test-SarcoidosisAnton test-ListeriaDick test-Scarlet feverSereny test-Shigella.EIECFairley's test-Schistosoma haematobiumSabin Feldman; Frenkel's test-ToxoplasmaHangar rose test-Cat scratch diseaseEijkman test-E.coliWhey agglutination test-BrucellosisEiken precipitin test-ETEC